Which of the following is not related with carcinoma stomach -
1. Blood Group O
2. Blood group A
3. Smoked fish
4. Nitrosoamines

Correct answer: 1. Blood Group O